Acquired porphyria is due to the which of the following:
1. Mercury toxicity
2. Lead poisoning
3. Copper deficiency
4. Selenium toxicity

Correct answer: 2. Lead poisoning

Explanation: Porphyria can be either inherited or acquired. Causes of acquired porphyria: Lead poisoning Alcoholism Hepatitis C infection Lead induced acquired porphyria is known as Plumboporphyria.